AH the following are true except tetanus except
1. Tetanospasmin is responsible for clinical symptoms
2. Tetanolysin is responsible for clinical symptoms
3. Best prevented by active immunization with tetanus toxoid
4. Tetanus neonatorum is also known as "8th day disease"

Correct answer: 2. Tetanolysin is responsible for clinical symptoms

Explanation: Ans) b (Tetanolysin is.....) Ref Park 20th ed p 272. Ananthanarayanan 7th ed p 258Tetanospasmin is responsible for the clinical symptoms. Principal action of this exotoxin is to block the inhibition of spinal reflexes.Tetanolysin is a heat labaile, oxygen labile hemolysin not relevant the pathogenesis of tetanusTetanus is best prevented by active immunization with tetanus toxoid. It stimulates the production of the protective antitoxin.Recommended level of antitoxin is 0.01 IU/ml semm throughout life.The common cause of tetanus neonatorum is infection of umbilical stump after birth, the first symptom being seen about the 7lh day. Therefore tetanus is known as 8"' day disease.